The Mechel's diverticulum is situated within about cm from the ileocecal valve -
1. 25
2. 60
3. 75
4. 100

Correct answer: 2. 60